2/3rd of the root completion is seen in an IOPA, which Nolla’s stage does this ﬁnding  corresponds with?
1. Stage 7
2. Stage 8
3. Stage 9
4. Stage 10

Correct answer: 2. Stage 8